M/c cause of vaginal discharge among reproductive age females
1. Trichomonas
2. Candida
3. Bacterial vaginosis
4. Gonorrhea

Correct answer: 3. Bacterial vaginosis

Explanation: Ans. is c, i.e. Bacterial vaginosisRef: William Gynae 3rd/ed, p51"Bacterial vaginosis is the most common cause of vaginal discharge among reproductive age women." - Ref: Williams Gynae 3rd/ed, p51.